True about thyroglossal cyst is all except
1. Does not move with deglutition
2. Move with protrusion of tongue
3. Sistrunks operation is treatment of choice
4. Most common site is subhyoid region

Correct answer: 1. Does not move with deglutition